Skin and fascia of great toe drains into ?
1. Superficial inguinal lymph nodes
2. External iliac nodes
3. Internal iliac nodes
4. Deep inguinal nodes

Correct answer: 1. Superficial inguinal lymph nodes

Explanation: Ans. is 'a' i.e., Superficial inguinal lymph nodes